Uncooked Fish eating causing Megaloblastic Anemia is due to ?
1. H. nana
2. Taenia saginata
3. Echinococcus
4. Diphyllobothrium Latum

Correct answer: 4. Diphyllobothrium Latum

Explanation: Diphyllobothrium latum /Fish tapeworm DH-Man, IH-1st- cyclops 2nd- fish if man eats uncooked fish then larvae is ingested changes to ADULT forms-these adult forms settle up in small and large intestine - these decreases VIT B12absorption - causing megablastic anaemia